The following are true about chloral hydrate except
1. Peculiar pungent odour
2. Crystalline
3. Used as hypnotic
4. Sweetish taste

Correct answer: 4. Sweetish taste

Explanation: D i.e. Sweetish taste Chloral hydrate (a hypnotic drug) sometimes known as dry wineQ is used in alcohol to produce sleep. Its action is so rapid that it has been given the name "knock out drops"Q. Chloral hydrate rapidly deteriorates after death. Chemical of the viscera should therefore be done as a matter of urgency.